The left gastro-epiploic artery is a branch of
1. Splenic artery
2. Hepatic artery
3. Celiac artery
4. Superior mesenteric artery

Correct answer: 1. Splenic artery

Explanation: A i.e. Splenic artery